To which of the following thalamic nuclei do the spinothalamic fibers project?
1. Anterior nucleus
2. Pulvinar
3. Ventral anterior nucleus
4. VPL nucleus

Correct answer: 4. VPL nucleus

Explanation: Spinothalamic fibers project to the VPL nucleus of thalamus passing sensation from body region to post central gyrus .